All statement about Plummer Winson syndrome are true except
1. Commonly leads to carcinoma in lower third of oesophagus
2. Common with iron deficiency
3. Common in females
4. Premalignant

Correct answer: 1. Commonly leads to carcinoma in lower third of oesophagus

Explanation: Plummer Winson syndrome Classical Features: Dyspahgia Iron Deficiency Anaemia Glossitis Angular Stomatitis Koilonychia Achlorhydria Atrophy of mucous membrane of a the alimentary canal. Predominantly affects females past 40 years Predisposes to development of carcinoma in - Tongue, Buccal mucosa, Pharynx, Esophagus and Stomach. (Ref: Textbook of diseases of ENT, PL Dhingra, 7th edition, pg no. 389)